Dose of digoxin is NOT altered in ?
1. Old age
2. Hepatic disease
3. Renal disease
4. Hypercalcemia

Correct answer: 2. Hepatic disease

Explanation: Ans. is 'b' i.e., Hepatic disease o Make it clear once and for all that Digitalis is the parent compound. Digitalis is applied as a collective term for the whole group and has come to mean a cardiac glycoside. o Digoxin and digitoxin are two of the many types of cardiac glycoside. o Digoxin is a polar glycoside, and is excreted by kidney, does not undergo hepatic metabolism. So dose need not be altered in hepatic disease. o Digitoxin undergoes hepatic metabolism and its dose has to be altered in hepatic disease.